HIV affects -
1. Only T helper cells
2. T helper and macrophages
3. NK cells
4. B-lymphocytes

Correct answer: 2. T helper and macrophages

Explanation: Receptor for the virus is CD4 antigen and affect the cells with this receptor like CD4 T cell, macrophages, monocytes. REF:Textbook of microbiology, Ananthanarayan and Paniker. Page no.: 574